All of the following are included in the criteria for systemic inflamatory response syndrome (SIRS), EXCEPT:
1. Hypothermia
2. Leukopenia
3. Tachycardia
4. Thrombocytopenia

Correct answer: 4. Thrombocytopenia

Explanation: Systemic inflammatory response syndrome (SIRS) is defined by two or more of the following: (1) Fever (oral temperature >38degC) or hypothermia (<36degC); (2) Tachypnea (>24 breaths/min); (3) Tachycardia (heart rate >90 beats/min); (4) Leukocytosis (>12,000/uL), leucopenia (<4,000/uL), or >10% bands; Thrombocytopenia is not included in the definition of SIRS. Ref: Harrisons principles of internal medicine, 18th edition, Page: 2223